Midzonal necrosis in liver may occur in?
1. Enteric fever
2. Yellow fever
3. Scarlet fever
4. Rheumatic fever

Correct answer: 2. Yellow fever

Explanation: Ans. is 'b' i.e., Yellow fever